All of the following are differential diagnosis for cotton wool spots in fundus except:
1. AIDS
2. Diabetic retinopathy
3. Hypertension
4. Eales' disease

Correct answer: 4. Eales' disease

Explanation: Ans. Eales' disease